A 26-year-old man is diagnosed with adeno- carcinoma of the stomach. He wants to know what could have caused him to develop this condition. He does an internet search. Which of the following is a risk factor for developing gastric cancer?
1. Exposure to ionizing radiation
2. Blood group B
3. A diet high in fiber
4. pylori infection

Correct answer: 4. pylori infection

Explanation: H. Pylori infection, smoking, and a high salt intake are all risk factors for gastric cancer. A diet high in fruits, vegetables, and fiber may lower the risk for gastric cancer. The incidence of gastric cancer is low in North America. Gastric cancer is one of the most common cancers in Japanese men.